All are pharmacological effects of benzodiazepine except-
1. Anxiolysis
2. Sedation
3. Retrograde amnesia
4. Anticonvulsant action

Correct answer: 3. Retrograde amnesia

Explanation: Benzodiazepines are drugs that exert in slightly varying degrees, five principles pharmacologic effects: 1. Anxiolysis 2. Sedation 3. Anticonvulsant actions 4. Skeletal muscle relaxation 5. Anterograde amnesia